Effect of Thiazides on calcium
1. Increase excretion
2. Decrease excretion
3. Counterregulatory
4. None

Correct answer: 2. Decrease excretion

Explanation: Thiazides spare calcium by inhibiting their excretion.Ref: Goodman Gilman 12/e p 678